True about pugilistic attitude -
1. Indicate only antemortem burn
2. Indicate only postmortem burn
3. Can not differentiate b/w ante & post mortem burn
4. Occur not because of great heat

Correct answer: 3. Can not differentiate b/w ante & post mortem burn

Explanation: PUGILISTIC ATTITUDE: Is also known as boxing or fencing or defence attitude The posture of a body which has been exposed to great heat is often characteristic. The legs are flexed at hips and knees the arms are flexed at elbows and held out in front of the body head slightly extended all fingers are hooked like claws. REF: The Synopsis of Forensic Medicine and Toxicology 29th edition page no: 161.